All are true about halothane except
1. Tachycardia
2. Hepatitis
3. Bronchodilatation
4. Uterine relaxation

Correct answer: 1. Tachycardia

Explanation: Halothane causes bradycardia.